Which of the following does NOT form a filtration barrier in nephrons:
1. Podocytes
2. Mesangium
3. Endothelial cell
4. Basement membrane

Correct answer: 2. Mesangium

Explanation: B i.e. Mesangium